For reduction of shoulder one of the following technique is appropriate –
1. Spinal anesthesia
2. Interscalene block
3. Axillary brachial block
4. Bier block

Correct answer: 2. Interscalene block

Explanation: Appropriate brachial plexus blocks per site-specific procedures